Yellow color of a bruise is due to which of the following?
1. Bilirubin
2. Hemoglobin
3. Hemosiderine
4. Deoxyhemoglobin

Correct answer: 1. Bilirubin

Explanation: The yellow color is due to degradation of hemoglobin to bilirubin. Deoxyhemoglobin is responsible for bluish bruise seen on the first day after the injury. Bruises change color over time, because of the degradation of haemoglobin in the blood. However, the timescale of this degradation is not fixed, and it is therefore possible only to give a rough estimation of the age of the bruise. Colour changes are: Dark blue/ purple (fresh) Blue Brown Green Yellow